Enalapril increases the levels of which of the  following ?
1. Bradykynin
2. Interferon
3. PAF
4. TNF

Correct answer: 1. Bradykynin